Administration of which of the following drug requires therapeutic drug monitoring?
1. Lithium
2. Haloperidol
3. Diazepam
4. Acetazolamide

Correct answer: 1. Lithium

Explanation: Therapeutic drug monitoring is adjustment of dose of the drug according to its plasma concentration. It is required for ART Aminoglycosides (e.g. gentamicin) Drug Digitalis Possessing Phenytoin (anti-epileptics) Low Lithium Therapeutic Tricyclic antidepressants Index Immunomodulators (e.g. cyclosporine) Range of 0.8-1.2 mEq/L is favored for treatment of acute manic or hypomanic patients. 0.6-1.0 mEq/l is considered adequate and safer for long term prophylaxis.